CPPD crystals are seen in which disease ?
1. Hypothyroidism
2. Primary hyperparathyroidism
3. Hemochromatosis
4. All of the above

Correct answer: 4. All of the above

Explanation: Ans. is 'd' i.e., All of the above